Pierre Robin syndrome is associated with:
1. Micrognathia
2. Cleft of the lip and plate
3. Tetralogy of fallot
4. Syndactyly

Correct answer: 1. Micrognathia